Which part of brain has olivary nucleus?
1. Pons
2. Midbrain
3. Spinal cord
4. Medulla

Correct answer: 4. Medulla

Explanation: Ans. is'd'i.e., MedullaOlivary nucleus is seen in medulla oblongata.